Two identical twins will not have same -
1. Fingerprints
2. Iris color
3. DNA copies
4. Blood group

Correct answer: 1. Fingerprints

Explanation: There is one chance in 64000 millions of two persons having same fingerprints. It is always unique for each person. ref : Dr.K.S.Narayana Reddys Synopsis of Forensic Medicine & Toxicology 27th edition pg. 47.